All are associated with EBV except
1. Infectious mononucleosis
2. Nasopharyngeal carcinoma
3. Oral hairy leukoplakia
4. Epidermodysplasia

Correct answer: 4. Epidermodysplasia

Explanation: Ans. is 'd' i.e., Epidermodysplasia